Activation of which one of the following coagulation factor is not essential for haemostasis
1. XII
2. XI
3. IX
4. X

Correct answer: 1. XII